Which of the following statements about vasomotor centre is true
1. Independent of corticohypothalamic inputs
2. Influenced by baroreceptor signals but not by chemoreceptors
3. Acts along with cardiovagal centre to maintain BP
4. Essentially silent in sleep

Correct answer: 3. Acts along with cardiovagal centre to maintain BP